Following are features of morphine withdrawl, except:
1. Piloerection
2. Insomnia
3. Discharge from nose
4. Constipation

Correct answer: 4. Constipation

Explanation: Constipation